Retinoblastoma is associated with, which of the following tumors
1. Osteoclastoma
2. Hepatocellular carcinoma
3. Squamous cell carcinoma
4. Osteosarcoma

Correct answer: 4. Osteosarcoma

Explanation: Ref Robbins 8/e p293 Childhood retino- blastoma is the most striking example of this category. Approximately 40% of retinoblastomas are familial. As is discussed later, inherited disabling mutations in a tumor suppressor gene are responsible for the development of this tumor in families. Carriers of this gene have a 10,000-fold increased risk of developing retinoblastoma. Unlike those with sporadic retinoblastoma, patients with familial retino- blastoma develop bilateral tumors, and they also have a greatly increased risk of developing a second cancer, par- ticularly osteosarcoma